Pneumothorax could be a complication of -
1. Staphylococcal pneumonia
2. Pneumococcal pneumonia
3. Klebsiella pneumonia
4. Viral pneumonia

Correct answer: 1. Staphylococcal pneumonia

Explanation: Ans. is 'a' i.e., Staphylococcal pneumonia Staphylococcal pneumonia is the most common cause of (amongst all pneumonia) Pneumatoceles Pneumothorax Lung abscess Purulent pericarditis Empyema Other organisms commonly causing empyma --> Streptococcus pyogenes, Pneumococci